Heparin acts
1. Antithrombin III
2. Factor VIII
3. Thromboplastin
4. Factor V

Correct answer: 1. Antithrombin III